A patient with a bleeding disorder with increased bleeding time and normal clotting time is suffering from:
1. Classic hemophilia
2. Christmas disease
3. Vitamin K deficiency
4. Idiopathic thrombocytopenic purpura

Correct answer: 4. Idiopathic thrombocytopenic purpura